Vertical transmission of HIV is most likely to occur
1. Early antepartum
2. Late antepartum
3. Intrapartum
4. Postpartum

Correct answer: 3. Intrapartum

Explanation: Most of the vertical transmission of HIV is likely to occur during labor.